Which of the following about syncope is false
1. Another term for fainting
2. Is transient reversible loss of consciousness
3. Caused by altered circulation
4. None of the above

Correct answer: 4. None of the above